All of the following cranial nerves pass through the jugular foramen except
1. Glossopharyngeal
2. Vagus
3. Spinal accessory
4. Hypoglossal

Correct answer: 4. Hypoglossal

Explanation: 9th,10th, 11th; inferior petrosal and sigmoid sinuses; meningeal branches of ascending pharyngeal and occipital arteries these are the structures passing through the jugular foramen BDC volume 3. Edition 6th pg no 57